After use of some drug, a person develops episodes of rage in which he runs about and indiscriminately injures a person who is encountered in way. He is probably addict of-
1. Alcohol
2. Cannabis
3. Opium
4. Cocaine

Correct answer: 2. Cannabis

Explanation: Episodes of rage in which the person runs about and injures others is suggestive of running amok, which is seen in Cannabis abuse.